Ribosomes are usually associated with:
1. Endoplasmic reticulum
2. Mitochondria
3. Nucleolus
4. Plasma membrane

Correct answer: 1. Endoplasmic reticulum